The following statements are related to the therapy of iron deficiency anaemia except:
1. Oral iron can be given only if anemia is detected before 20 weeks of pregnancy
2. Parenteral iron therapy markedly increases the reticulocytic count within 7-14 days
3. Parenteral therapy is ideal during 30-36 weeks
4. Blood transfusion may be useful in severe anaemia beyond 36 weeks

Correct answer: 1. Oral iron can be given only if anemia is detected before 20 weeks of pregnancy

Explanation: Overview of Management of Iron Deficiency Anemia in Pregnancy: